External oblique forms all except?
1. Lacunar ligament
2. Pectineal ligament
3. Conjoint tendon
4. Inguinal ligament

Correct answer: 3. Conjoint tendon

Explanation: Inguinal ligament (Poupart's ligament) is the folded lower border of external oblique aponeurosisLacunar ligament (Gimbernats ligament) is the crescent shaped expansion from the medial end of inguinal ligament attached to pectineal line of pubis.Pectineal ligament (Cooper's ligament) is strong fibrous band extending laterally from the lacunar ligament along pectineal line of pubis. Similar to lacunar ligament, it is made of external oblique aponeurosis.Reflected part of inguinal ligament extends from the lateral crus of superficial inguinal ring formed by inguinal ligament upwards to linea alba. It forms the posterior wall of inguinal canal.Conjoint tendon (falx inguinalis) is formed by the aponeuroses of internal oblique and transversus abdominis muscle and is attached to pubic crest.